Creutzfeldt-Jacob disease is caused by -a) Prionb) JC virusc) Genetic factorsd) Nutritional deficiency
1. ac
2. bc
3. ad
4. b

Correct answer: 1. ac